Osteogenesis imperfecta is due to a defect in -
1. Collagen 1
2. Collagen 2
3. Collagen 3
4. Collagen 4

Correct answer: 1. Collagen 1

Explanation: . Collagen 1